Pseudomonal infection, not cleaned by -
1. Dettol
2. Hypochlorite
3. Chlorine
4. Betadine

Correct answer: 1. Dettol